Drug of choice for Lithium Induced Diabetes Insipidus:
1. Thiazide diuretics
2. Cisplatin
3. Carbamazepine
4. Amiloride

Correct answer: 4. Amiloride

Explanation: Amiloride is a ENaC blocker which inhibits uptake of Lithium through ENaC channels and prevents its toxicity.